Insulin causes decrease in activity' of which enzyme-
1. PFK-1
2. Glucokinase
3. Pyruvate Carboxylase
4. Acetyl CoA Carboxylase

Correct answer: 3. Pyruvate Carboxylase

Explanation: Ans. is 'c' i.e., Pyruvate carboxylase Effect of insulin on major metabolic pathway (effects of carbohydrate feeding)PathwayEffectRegulated enzymeCarbohydrate metabolism o Glycolysis|| Phosphofructokinase-1, | Pyruvate kinase | Pyruvate dehydrogenase* Gluconeogenesis|| Pyruvate carboxylase, |PEP carboxykinase, |fructose-1,6-bisphophatase | glucose-6-phosphotaseo Glycogenesis|| glucokinase, | glycogen synthaseo Glycogenolysis|| glycogen phosphorylaseLipid metabolism o Lipogenesis|| Acetyl-Co carboxylase, | Fatty acid synthaseo Lipolysis|| Hormone sensitive lipaseo Cholesterol Synthesis|| HMG-CoA reductaseo Triacylglycerol Synthesis|| Acyl-CoA-glycerol-3-phosphate transferase, | glycerol kinaseo Lipoprotein degradation Protein metabolism|| Lipoprotein lipaseo Protein synthesis|| RNA polymerase and ribusome assembelyNote:- Pyruvate dehydrogenase is neither a glycolytic nor a TCA cycle enzyme, it acts as a bridge between the two.